You have clinically diagnosed a patient as having SLE and ordered 6 tests, out of which 4 have come positive and 2 have negative. To know the probability of SLE at this point, you need to know:
1. Incidence of SLE and predictive value of each test
2. Incidence and prevalence of SLE
3. Relative risk of SLE in this patient
4. Prior probability of each test, sensitivity and specificity of each test

Correct answer: 4. Prior probability of each test, sensitivity and specificity of each test

Explanation: To know the probability of SLE at this point,We need to know Prior probability (Prevalence) of each test, sensitivity and specificity of each test Probability of having a Disease means PPV i.e. Positive Predictive Value and it depends upon (BAYES'THEORM) sensitivity specificity and disease Prevalence